Pitting nail dystrophy seen in – a) Dermatophytic infectionb) Psoriasisc) Lichen planusd) Seborrheic dermatitis
1. a
2. c
3. ac
4. bc

Correct answer: 4. bc

Explanation: Skin disorders causing nail pitting → Psoriasis, Alopecia areata, Reiter's syndrome, Lichen planus,Eczema, Incontinetia pigmenti